Finding the cause of unilateral lymphedema of the leg includes -a) Taking a family historyb) Looking for chronic infection in the footc) Looking for early malignant disease of the testisd) Looking for filariasise) Performing a casoni test
1. acd
2. abd
3. abc
4. ab

Correct answer: 2. abd

Explanation: Lymphoedema precox is unilateral and it is a familial condition